Physical quality of life index (PQLI) includes all, EXCEPT:
1. Literacy
2. MMR
3. IMR
4. Life expectancy at 1 year

Correct answer: 2. MMR

Explanation: Physical quality of life index (PQLI) includes Infant mortality rate, Life expectancy at 1 year and literacy. Ref: Park, 20th Edition, Page 16.